Primary treatment of choice in juvenile papilloma is:
1. Surgical excision
2. Interferon
3. Antibiotics
4. Radiotherapy

Correct answer: 1. Surgical excision

Explanation: (a) Surgical excision(Ref. Cummings, 6th ed., 923)juvenile papilloma is management by excision by CO2 LASER.Chances of recurrence being very high, interferon alpha is given in the postoperative period which has shown to decrease the chances of recurrence.Radiotherapy is not used here as it increases the chances of malignant transformation in the benign juvenile papilloma. Antibiotics have no role.